Confabulation is defect of
1. Memory
2. Intelligence
3. Attention
4. Concentration

Correct answer: 1. Memory

Explanation: Confabulation Unconscious filling of gaps in memory by imagining experiences or events that have no basis in fact. it is commonly seen in amnestic syndromes. it is a charecterstic feuture of Koraskoff's psychosis, a condition that occurs due to thiamine deficiency the charecterstic feuture of confabulation is fluent plausible lying, that is individual is not aware that he lying and filling up the memory gaps but still speaks things in a fluent way and this is a dysfunction of memory Reference: Kaplan & Sadock's synopsis of psychiatry, 11th edition, page 1409.